Regarding Hartmann’s solution, false is
1. Contains potassium ions
2. Equilibrates with extracellular fluid
3. Has a pH of 8
4. Is miscible with insulin

Correct answer: 3. Has a pH of 8

Explanation: Hartmann’s solution has pH of 6-7